Not true about angioneurotic edema ?
1. Pitting edema of face, lips and mucous membrane
2. C1 Esterase inhibitor deficiency can cause it
3. Extreme temperature exposure can provoke it
4. Known with ACE inhibitors

Correct answer: 1. Pitting edema of face, lips and mucous membrane

Explanation: Edema of angineurotic-edema is non-pitting.
C1 esterase inhibitor deficiency can cause hereditary angioneurotic edema.
Angioedema is a well known adverse effect of ACE inhibitors.